a patient was brought to psychiatry casuality with contraction of the neck , the patient told that it was painul. this symptom started after the injection given at the psychiatry hospital for his psychosis. the type of side effect caused by the drug is
1. dystonia
2. neuroleptic malignant syndrome
3. akathisa
4. tardive dyskinesia

Correct answer: 1. dystonia

Explanation: Acute dystonia * <48 hours of starting antipsychotics * M.C in======Younger black males * If a patient develops dystonia he is more prone for eps Patient considers this as an Allergic reaction , thereby may stop drugs Layryngeal dystonia is a Psychiatric emergency, should be treated with IV lorazepam TREATMENT * Diphenhydramine * Benztropine mesylate * Prophylactic anticholinergics helps Ref. Kaplonand sadock, synopsis of psychiatry, 11 th edition, page no. 925